Regarding Sjogren's syndrome, all are true except:
1. Keratoconjuctivitis sicca
2. Rheumatoid arthritis
3. Epiphora
4. Autoimmune in nature

Correct answer: 3. Epiphora

Explanation: Ans. C: Epiphora SjOgren's syndrome (also known as "Mikulicz disease" and "Sicca syndrome", is a systemic autoimmune disease in which immune cells attack and destroy the exocrine glands that produce tears and saliva SjOgren's syndrome can exist as a disorder in its own right (Primary Sjogren's syndrome) or it may develop years after the onset of an associated rheumatic disorder such as rheumatoid arthritis, systemic lupus erythematosus, scleroderma, primary biliary cirrhosis etc. (Secondary SjOgren's syndrome)